A green-stick fracture is:
1. Seen mostly in the elderly
2. Fatigue fracture
3. Spiral fracture of long bone
4. Part of cortex is intact and part is crumpled

Correct answer: 4. Part of cortex is intact and part is crumpled

Explanation: Ans. Part of cortex is intact and part is crumpled